True about self etched primer is
1. Remove smear layer
2. Does not remove smear layer but binds it to dentin
3. Increase dentin permeability
4. Increase sensitivity

Correct answer: 2. Does not remove smear layer but binds it to dentin